In plasma, carbon-di-oxide is mainly transported as: (Repeat)
1. Dissolved CO2
2. HCO3-
3. Carboxy haemoglobin
4. Carbamino haemoglobin

Correct answer: 2. HCO3-

Explanation: Ans: B (HCO3-) Ref: Pal GK. Transport of gases in blood. In: Textbook of medical physiology. Ahuja publishing house. 2007: 91: 733.Explanation:Carbon Dioxide Transport in Blood1. HCO3- in plasma and in RBCs - 70%2. Formation of carbamino compounds with plasma protein (23%)3. Dissolved form (7%)